Tubercular laryngitis affects primarily -
1. Anterior commissure
2. Posterior commissure of larynx
3. Anywhere within the larynx
4. Superior surface of larynx

Correct answer: 2. Posterior commissure of larynx

Explanation: Tuberculosis affects posterior part of larynx more than anterior part.
Parts affected are: Inter arytenoid fold > Ventricular bands > Vocal cords > Epiglottis